False regarding calcium homeostasis in pregnancy is?
1. Serum non ionized calcium levels fall
2. Serum ionized calcium levels fall
3. Intestinal absorption of calcium increased
4. Levels of 1,25 dihydroxy vitamin D are increased

Correct answer: 2. Serum ionized calcium levels fall

Explanation: Ans. B. Serum ionized calcium levels fallTotal serum calcium levels, (which include both ionized and non-ionized calcium), decline during pregnancy, reduction follows lowered plasma albumin concentrations and, a consequent decrease in the amount of circulating protein- bound non ionized calcium. Serum ionized calcium levels remain unchanged. The fetal skeleton accretes approximately 30g of calcium by term, 80 percent of which is deposited during the third trimester. This demand is largely met by a doubling of maternal intestinal calcium absorption mediated, in part, by 1,25-dihydroxyvitamin D3 . Dietary intake of sufficient calcium is necessary to prevent excess depletion from the mother.